Best view for visualizing sella turcica on X-Ray:
1. A P View
2. Town's view
3. Lateral view
4. Open mouth view

Correct answer: 3. Lateral view

Explanation: C i.e. Lateral view